Which of the following is not true regarding phacoemulsification surgery:
1. Clear corneal incision is preferred
2. Capsulorhexis is done to remove anterior capsule
3. Hydrodissection is done to separate the layers of nucleus
4. Divide and conquer technique is used for nucleus removal

Correct answer: 3. Hydrodissection is done to separate the layers of nucleus

Explanation: Hydrodissection is used to separate the cortex from capsule. Steps of cataract surgery Anesthesia (Topical, peribulbar, subtenon, retrobulbar). Incision (clear corneal/Limbal). Capsulorhexis: Making an opening in anterior capsule. Hydrodissection: Separating cortex from capsule. Nucleus Fragmentation: Direct chop/trench/stop and conquer technique. Irrigation & aspiration. Insertion of IOL.